Blistering of skin is common in the presence of abnormal:
1. Intermediate filaments
2. Centrosomes
3. Microfilaments
4. Microtubules

Correct answer: 1. Intermediate filaments

Explanation: Intermediate Filaments are a part of of cytoskeleton. They form a flexible scaffolding for cell which helps cell to resist external pressure. So in their absence cells rupture easily. Ref: Ganong's Review of Medical Physiology, 21st Edition, Page 13